A 40 year old mine worker is brought to the emergency room with a suspected carbon monoxide poisoning. What will be expected in the blood ABG?
1. PO2 normal, O2 saturation less with slightly decreased PCO2
2. PO2 less, O2 saturation normal
3. PO2 high, O2 saturation normal
4. PO2 less, O 2 saturation decreased

Correct answer: 1. PO2 normal, O2 saturation less with slightly decreased PCO2

Explanation: CO2 has 210 times more affinity to Hb than O2 so O2 saturation is less. PO2 is normal since dissolved O2 is normal.